Choroidal vascularization is seen in ?
1. Myopia
2. Hypermetropia
3. Presbyopia
4. Astigmatism

Correct answer: 1. Myopia

Explanation: Ans. is 'a' i.e., Myopia Causes of choroidal neovascularization Age-related macular degeneration (ARMD)-most significant Chorioretinal scars Angioid streaks Intraocular inflammation Choroidal rupture (trauma) Chorioretinal dystrophy Pathological myopia